Roxithromycin is
1. A long acting macrolide
2. Short action quinolone
3. Short acting macrolide
4. Long acting polypeptide

Correct answer: 1. A long acting macrolide